Feelers strokes are also called as by all except
1. Exploratory cuts
2. Bevelled cuts
3. Hesitation cuts
4. Tentative cuts

Correct answer: 2. Bevelled cuts

Explanation: - PRESENCE OF BEVELLED MARGIN INDICATES THAT THE WOUND IS HOMICIDAL IN NATURE - Synonyms of Hesitation cuts: Feelers strokes, Exploratory cuts & Tentative cuts. - Bevel: A surface having a sloped or slanting edge. Presence of a beveled margin indicates: i. Sharp cutting heavy or moderately heavy weapon was used. ii. Injury has been inflicted by striking the blade of the weapon. The chances of beveled margin by drawing or sawing the weapon are almost negligible. iii. Wound is homicidal in nature. iv. Direction of application of the weapon, and the relative position of assailant and the victim.